Which of the following agents do not act via GABAA-cl – channel complex receptors
1. Zopiclone.
2. Benzodiazepines.
3. Thiopentone.
4. Promethazine.

Correct answer: 4. Promethazine.